The diagnosis of allergic rhinitis in children is established as they reach the age of
1. 2years
2. 3years
3. 4years
4. 6years

Correct answer: 4. 6years

Explanation: Allergic rhinitis (AR) is an inflammatory disorder of the nasal mucosa marked by nasal congestion, rhinorrhea, and itching, often accompanied by sneezing and conjunctival inflammation. The symptoms may appear in infancy; with the diagnosis generally established by the time the child reaches age 6years. The prevalence peaks late in childhood.Reference: Nelson Textbook of Paediatrics; 20th edition; Chapter 143; Allergic Rhinitis